The skin lesions of secondary syphilis include all of the following except -
1. Macules
2. Vesicles & Bullae
3. Nodule
4. Papulosquamous

Correct answer: 2. Vesicles & Bullae